Patient having tooth fracture without involving pulp
having sensitivity is due to
1. Fluid flow in dentinal tubules
2. Stimulation of nerve ending
3. Due to extensive pressure created by occlusal contacts
4. Due to change in intrapulpal pressure

Correct answer: 1. Fluid flow in dentinal tubules